Which is a fructosan
1. Pectin
2. Chitin
3. Inulin
4. Glycogen

Correct answer: 3. Inulin

Explanation: The polysaccharide of glucose (glucosan or glucan):- starch, glycogen, cellulose, dextrin, dextran, chitin
The polysaccharide of fructose (fructosan) :- Inulin